An 80 year old female who has never taken estrogen, develops pink vaginal discharge. An endometrial biopsy shows an adenocarcinoma of the endometrium. Papanicolaou smear is negative. Of the following what is the most important indicator of prognosis ?
1. Body habitus
2. Level of CA - 125
3. Nutritional status
4. Histologic type of tumour

Correct answer: 4. Histologic type of tumour

Explanation: Ans. is d i.e. Histologic type of tumorT The answer is quite obvious from the options provided, the other prognostic risk factors in endometrial adenocarcinoma are : Prognostic factors in endometrial adenocarcinoma Age at diagnosis (older the patient poorer the prognosis). Stage of the disease.deg Histologic type (Endometriod adenocarcinoma have good prognosis, clear cell carcinoma have poor prognosis).deg Histologic grade.deg Myometrial penetration (Increasing depth of invasion is associated with increasing likelihood of extrau erine spread and recurrence). Most important prognostic factor is Lymph node metastasis.deg Extension to cervix - Involvement of cervix, isthmus or both is associated with increased risk of extrauterine disease and LN metastasis. Role of Peritoneal cytology is contoversial. Tumor size (> 2 cm - more lymph node metastasis). Hormone receptor status (receptor positive - better prognosis). Ploidy status : aneuploid have got better prognosis compared to diploid tumors. Oncogene expression : HER : 2/neu, k-ras poor prognosis.